The gold standard of labour analgesia is which of the following:-
1. Continuous lumbar epidural
2. IV opioid infusion
3. Continuous inhalational agent
4. Nerve block

Correct answer: 1. Continuous lumbar epidural

Explanation: Continuous lumbar epidural analgesia is the most versatile and most commonly employed technique because it gives good analgesia in both the stages of labour. It is safe on mother and fetus. Continuous lumbar epidural analgesiais the most commonly used technique to produce labor analgesia as it can provide analgesia during the first stage of labor and also provide anesthesia for vaginal delivery or for cesarean section if necessary. For adequate pain relief, the sensory block ofT10-L1is required during thefirst stageof labor andS2-S4 (Pudendal nerve block) is required during thesecond stage. The Epidural catheter placed at L3-L4 or L4-L5 interspace sufficiently provides T10-S5 neural blockade. other techniques are used when we cannot give lumbar epidural.